The drug of choice for treatment of meningococcal meningitis is
1. Piperacillin
2. Ceftriaxone
3. Ampicillin
4. Meropenem

Correct answer: 2. Ceftriaxone

Explanation: Ans. b. CeftriaxoneRef: Goodman Gilman 13th E/PI 035Ceftriaxone is the drug of choice for treatment of meningitis caused by H. influenza, N. meningitidis (meningococcal meningitis) and S. pneumoniae.Ampicillin is the drug of choice for treatment of meningitis caused by L. monocytogenes.Meningitis seen in post neurosurgery or penetrating head trauma patients caused by staphylococcus, Propionibacterium, pseudomonas or acinetobacter is treated by meropenem+vancomycin.Note: For prophylaxis of meningococcal meningitis (contacts or mass chemoprophylaxis) ciprofloxacin is the drug of choice. Ceftriaxone though us the best drug for prophylaxis is not the drug of choice as it is a parenteral drug.